Which of the following statements about Transplant Rejection Reactions is false:
1. Hyperacute rejection is uncommon
2. Liver is extremely sensitive to Hyperacute rejection
3. Chronic rejection invariably leads to loss of the graft
4. Acute rejection is readily reversible with appropriate treatment

Correct answer: 2. Liver is extremely sensitive to Hyperacute rejection

Explanation: Liver transplants are relatively resistant to Hyperacute rejection. They rarely undergo Hyperacute rejection 'Kidney transplants are particularly vulnerable to Hyperacute graft rejection while liver transplants are relatively resistant. Even in the presence of a strongly positive cross-match test, liver transplants rarely undergo Hyperacute rejection, although their long-term survival is inferior. It is not clear why the liver is resistant to Hyperacute rejection. One factor may be that is less susceptible to ischaemia than the kidney by virtue of its dual blood supply derived from the portal vein and from the hepatic artery' - Bailey Love Hyperacute rejection (Type II) Acute rejection (Type IV and II) Chronic rejection (Type IV) It is irreversible and results in immediate graft loss. Since the reactions is irreversible, the organ must be removed. it is generally reversible with additional immunosuprresion and hence the graft can often be salvaged. It is typically irreversible. Chronic rejection is the single. Most common cause of graft failure (leads to loss of graft) Uncommon: These reactions are uncommon because of pre-transplantation screening Common: Most common type of transplant rejection overall. Most common type of reversible transplant rejection reactions. Not the most common cause of rejection reaction that leads to graft/organ failure (Since this type is often reversible) Common: Chronic rejection is the single most common cause of irreversible transplant rejection reaction. The most common cause of rejection that leads to graft/organ failure (Since this type is irrversible) Ref: Bailey and Love 27th edition Pgno: 1535